False about guidelines on sanitary well
1. >15 m away from drinking water source
2. Minimum 20 feet depth
3. Parapet wall should > 20 cm above ground
4. Parapet wall should > 75 cm above ground

Correct answer: 3. Parapet wall should > 20 cm above ground